Pars flaccida of the tympanic membrane is also called
1. Reissner's membrane
2. Shrapnell's membrane
3. Basilar membrane
4. Secondary tympanic membrane

Correct answer: 2. Shrapnell's membrane

Explanation: Situated above the lateral process of malleus between the notch of Rivinus and the anterior and posterior malleal folds.Reissner's membrane - Separates scala media from scala vestibuli in the inner earBasilar membrane - Seen in scala media and supports the organ of cortiSecondary Tympanic Membrane - Closes the scala tympani at the site of round window